What is meant by melting of double stranded DNA
1. Splitting of double strands into single strand.
2. Splitting of DNA into fragments.
3. Formation of triple helix
4. Separation of bases

Correct answer: 1. Splitting of double strands into single strand.

Explanation: Denaturation (or melting) refers to separation of the double strand of the DNA into two component strands.